All of the following are required for hydroxylation of proline in collagen synthesis except :
1. 2
2. Vitamin C
3. Dioxygenases
4. Pyridoxal phosphate

Correct answer: 4. Pyridoxal phosphate

Explanation: D i.e. Pyridoxal phosphate